A lady with a long stading thyroid nodule is planned for a subtotoal thyroidectomy. Before the surgery the surgeon must check/ do
1. Serum Calcium levels
2. Serum PTH assay
3. Indirect Larngoscopy
4. Iodine 131 scan

Correct answer: 3. Indirect Larngoscopy

Explanation: Answer- C. Indirect LarngoscopyNerve Damage to recurrent / superior laryngeal nerve is a known complication of thyroidectomy.Hence it is important to document the state ofthe vocal cords before surgery to prevent litigation liability.